Which of the following is a die hardener
1. Cyanoacrylate.
2. Potassium sulphate.
3. Sodium chloride.
4. Resin

Correct answer: 1. Cyanoacrylate.

Explanation: Die hardeners arc materials used to reinforce the surface of a die so as to make it more resistant of abrasion and scratching.
Die hardeners used with gypsum dies:
• Cyanoacrylate
• Silver plating
• Addition of die hardeners to gypsum